A person on anti–tubercular drugs complained of deafness and tinnitus in one ear. Drug implicated is :
1. Streptomycin
2. Isoniazid
3. Ethambutol
4. Rifampicin

Correct answer: 1. Streptomycin